Which antibody is most commonly produced in secondary immune response?
1. IgG
2. IgA
3. IgD
4. IgM

Correct answer: 1. IgG

Explanation: Ans. (a) IgGRef: Jawetz 24/e, chapter 8